DNA replication takes place in which phase of cell?
1. M
2. G1
3. G2
4. S

Correct answer: 4. S

Explanation: CELL CYCLE : In G1 (gap 1) phase ,the cell prepares for DNA synthesis. DNA synthesis occurs during S(synthesis) phase of the cell cycle. During the S phase, DNA is completely replicated ,but only once. Cell prepares for mitosis in G2 (gap 2) phase, when proteins necessary for daughtercells are synthesized. Then the cells enters into the M(mitotic) phase , when chromosomes are visible under microscope. The whole cycle lasts about 24hrs ;out of which M phase is only 1-2 hrs.Those cells which are not in division are said to be in G0 phase. Cell cycle, cyclins, CDKs ,Rb protein ,etc REF:DM VASUDEVAN TEXTBOOK ;7th EDITION ;Page no :582.